A 60-year man had undergone cardiac bypass surgery 2 days back. Now he started forgetting things and was not able to recall names and phone numbers of his relatives. What is the probable diagnosis?
1. Depression
2. Post-traumatic psychosis
3. Cognitive dysfunction
4. Alzheimer's disease

Correct answer: 3. Cognitive dysfunction

Explanation: The history of cardiac surgery 2 days prior followed by behavioral changes is suggestive of delirium. The question here is stressing on "disturbances of memory" which can be seen in delirium, however are usually restricted to short term memory loss. The other important features such as clouding of consciousness and attention impairment have not been provided. Nonetheless, the most likely diagnosis appears to be delirium. As delirium has prominent cognitive dysfunction, that is the correct answer. Alzheimer disease does not have such sudden onset.